Nagayama spots are seen in:
1. Measles
2. Roseola infantum
3. Mumps
4. Rubella

Correct answer: 2. Roseola infantum

Explanation: Nagayama spots: Roseola infantum Koplik spots- Measles Forchheimer spots- Rubella